Complex-I in electron transport chain is ?
1. NADH - CoQ reductase
2. CoQ - cytochrome C reductase
3. Cytochrome-C oxidase
4. None of the above

Correct answer: 1. NADH - CoQ reductase

Explanation: Ans. is 'a' i.e., NADH - CoQ reductase Components of ETC are :?Complex I (NADH - CoQ reductase) catalyzes the transfer of electron from NADH to coenzyme Q (CoQ).Complex II (Succinate - CoQ reductase or succinate dehydrogenase) transfers electrons from succinate to coenzyme Q.Complex III (CoQ - cytochrome C reductase), transfers electron from CoQ to cytochrome C.Complex IV (cytochrome C oxidase) transfers electrons from cytochrome C to 02.